Which are not labile cells?
1. Bone marrow
2. Epithelium of skin
3. Intestitial mucosa
4. Hepatocytes

Correct answer: 4. Hepatocytes

Explanation: Ans. is 'd' i.e., Hepatocytes When a cell proliferates, it pass through a cell cycle